Scissors gait is seen in
1. Poliomyelitis
2. Cerebral palsy
3. Hyperbilirubinemia
4. Hyponatremia

Correct answer: 2. Cerebral palsy

Explanation: Scissor gait is a form of gait abnormality primarily associated with spastic cerebral palsy rigidity and excessive adduction of the leg in swing plantar flexion of the ankle flexion at the knee adduction and internal rotation at the hip progressive contractures of all spastic muscles complicated assisting movements of the upper limbs when walking